Topical antibiotic of choice for MRSA
1. Mafenide
2. Silver sulfadiazine
3. Mupirocin
4. Butenafine

Correct answer: 3. Mupirocin

Explanation: Ans: C. MupirocinMethicillin resistance staphylococcus aureus (MRSA):Also be referred to as multi-drug resktant staphylococcus aureus or oxacillin resistant staphylococcus aureus (ORSA).Vancomycin is the systemic DOC for MRSAMupirocin is topical antibiotic of choice.Other topical effective drug are fusidic acid and retapamulin.